A 30-year-old chronically malnourished male presented to the OPD with complaints of weakness, lassitude, anorexia along with poor appetite, abdominal discomfort and diarrhea. There is also evidence of apathy, lethargy and mild disorientation in the patient. On examination Glossitis Dermatitis in sun exposed areas All of the following enzymes uses the above deficient vitamin as a coenzyme except: -
1. Glyceraldehyde 3-phosphate dehydrogenase
2. Beta-ketoacyl reductase
3. Pyruvate dehydrogenase
4. Transaminase

Correct answer: 4. Transaminase

Explanation: This is a case of pellagra/ niacin deficiency. Triad of diarrhoea, dementia and dermatitis. Skin findings Affected skin lesions are initially erythematous and are associated with a burning sensation. The distribution of the cutaneous eruption is typically symmetrical and bilateral in parts of the body exposed to sun. Dorsum of the hands and feet, neck area, and a malar rash are typical areas of involvement. As the dermatitis progresses, the affected skin becomes hyperpigmented and thickened. Niacin is used as a coenzyme for: - Glyceraldehyde 3-phosphate dehydrogenase Beta-ketoacyl reductase Pyruvate dehydrogenase Alpha ketoglutarate dehydrogenase Isocitrate dehydrogenase Alcohol dehydrogenase Beta-hydroxy butyrate dehydrogenase